Vertebrate reservoir of Japanese encephalitis is:
1. Rat
2. Pig
3. Horse
4. Monkey

Correct answer: 2. Pig

Explanation: (B) Pig > Pigs are vertebrate reservoirs as well as amplifier hosts for Japanese encephalitis virus.